A neonate while suckling milk can respire without difficulty due to
1. Small tongue
2. Small pharynx
3. High larynx
4. soft palate

Correct answer: 3. High larynx

Explanation: PAEDIATRIC LARYNX Infant's larynx is positioned high in the neck level of glottis being opposite to C3 or C4 at rest and reaches C1 or C2 during swallowing. This high position allows the epiglottis to meet soft palate and make a nasopharyngeal channel for nasal breathing during suckling. The milk feed passes separately over the dorsum of tongue and the sides of epiglottis, thus allowing breathing and feeding to go on simultaneously. Ref:- Dhingra; pg num:-285